In Radical mastectomy, which is spared-
1. Pectorialis major
2. Pectoralis minor
3. Axillary lymph nodes
4. Supraclavicular lymph nodes

Correct answer: 4. Supraclavicular lymph nodes